Post streptococcal glomerulonephritis in children is diagnosed by:
1. Heavy proteinuria, high cholesterol, high ASO titer
2. Heavy proteinuria, hematuria, low ASO titer
3. Mild proteinuria, hematuria, high ASO titer
4. Mild proteinuria, high cholesterol, normal ASO titer

Correct answer: 3. Mild proteinuria, hematuria, high ASO titer

Explanation: PSGN is m.c.c. of Nephritic syndrome in children. Dx -PSGN in children =Mild proteinuria =Hematuria =High ASO titer